NK cells have which CD marker ?-
1. CD 3
2. CD 56
3. CD 19
4. CD 13

Correct answer: 2. CD 56

Explanation: Harshmohan textbook of pathology 7th edition. *NK cells comprises about 10 to 60 % of circulating lymphocytes. These lymphocytes do not have B or T cell marker.NK cell carries surface molecule of CD2, CD16, CD56 but negative for T cell marker CD3